Particle size which can easily go into the interior of lung and reache alveoli is:
1. 0.5 - 3 im
2. 3-5 im
3. 5-10 im
4. 10-15 im

Correct answer: 1. 0.5 - 3 im

Explanation: Ans: a (0.5-3 im) Ref: Park, 19th ed,p. 661Particle between 0.5-3 microns are the most dangerous because they reach the interior of the lungs with ease.